Treatment of "Non-Specific" Urethritis is:
1. Erythromycin
2. Sulpha drugs
3. Tetracycline
4. Ampicillin

Correct answer: 3. Tetracycline

Explanation: Tetracycline